Condition where subhyloid hemorrhage is associated with subarachnoid hemorrhage is-
1. Posner-Schlossman syndrome
2. Axenfeld- Rieger syndrome
3. Pseudoexfoliation syndrome
4. Terson's syndrome

Correct answer: 4. Terson's syndrome

Explanation: Ans. is 'd' i.e., Terson's syndrome * Terson syndrome is intraocular hemorrhage associated with subarachnoid hemorrhage, intracerebral hemorrhage or traumatic brain injury. Hemorrhage may be present in the vitreous, sub-hyloidy or intraretina/ sub-internal limiting membrane.* Terson syndrome usually occurs in adults, but has been reported in children as young as 7 years. It can be unilateral or bilateral.* Subarachnoid hemorrhage may be directly transmitted forward through the optic nerve sheath.